The pH of a freshly prepared stannous fluoride solution is approximately
1. 2.5
2. 4.5
3. 6.5
4. 8.5

Correct answer: 1. 2.5